The normal adult human electroencephalogram (EEG)a) Will not show high frequency waves during stage 3 sleepb) Shows alpha rhythm when a person is awake but inattentivec) Has lower frequency waves during mental activityd) Is predominated by large amplitude waves during REM sleep
1. ac
2. a
3. ab
4. bc

Correct answer: 3. ab

Explanation: Stages of sleep and rhythm
-        Beta rhythm- Alert, awake, maximum concentration. (High frequency, low voltage)
-        Alpha rhythm- Eyes closed, mind wandering, less attentiveness
-        Theta rhythm- Stage 1 NREM
-        Sleep spindles, K complex- Stage 2 NREM
-        Delta rhythm- Deep sleep (Stage 3 & 4 NREM), Rhythm is slow.
 
-        Beta Rhythm and occasional alpha rhythm- REM (Rapid, low voltage rhythm)